Caranial nerve passing through foramen ovale includes
1. Mandibular nerve
2. Oculomotor nerves
3. Greater petrosal nerve
4. Sympathetic nerve fibres

Correct answer: 1. Mandibular nerve

Explanation: structures passing through foramen ovale: Mandibular nerve Accessory meningeal artery Lesser petrosal nerve Emissary vein connecting cavernous sinus with pterygoid plexus. Ref BDC volume 3; 6th edition pg 56